The compound that regulates both glycolysis and gluconeogenesis is:
1. Fructose-1,6-bisphosphate
2. Fructose-2,6-bisphosphate
3. Citrate
4. Glucose-6-phosphate

Correct answer: 2. Fructose-2,6-bisphosphate

Explanation: Fructose 2,6 bisphosphate Potent activator of PFK-1 inhibitor of gluconeogenic enzyme fructose 1,6 bisphosphatase. This helps in reciprocal regulation of glycolysis and gluconeogenesis.